Undertaker's fracture is seen at the level of cervical vertebra:
1. C1-C2
2. C3-C4
3. C5-C6
4. C6-C7

Correct answer: 4. C6-C7

Explanation: Ans. C6-C7